Delusions are seen in all of the following, Except -
1. Shizophrenia
2. Depression
3. Dementia
4. Conversion Disorder

Correct answer: 4. Conversion Disorder

Explanation: Conversion disorder is a neurosis. There are no delusions or hallucinations in neurosis.